The hymen of False virgin is not
1. Loose
2. Thick
3. Elastic
4. Rigid

Correct answer: 4. Rigid

Explanation: Hymen in Virgin is Intact, rigid, inelastic; Admits tip of little finger through orifice painfully Hymen in False Virgin: Intact, but loose, elastic or thick, tough and fleshy; Easily admits two fingers through orifice